Over-inflation of lung is prevented by?
1. Chemo-receptor
2. Hering-Breuer reflex
3. Surfactant
4. Clara cells

Correct answer: 2. Hering-Breuer reflex

Explanation: Ans. B Hering Breur ReflexRef: Gattong, 25th ed. pg. 662* Hering- Breuer reflex is reflex triggered to prevent over inflation of lung.* Smooth muscles of lung have pulmonary stretch receptors which respond to excessive stretching of lung during large inspirations.* The reflex limits the tidal volume while increasing the respiratory frequency* Hering Breur inflation reflex is increase in duration of expiration produced by steady lung inflation.* Hering breur deflation reflex is a decrease in duration of expiration produced by steady lung deflation.* Surfactant prevents collapse of the lung.